Which one of the following statement is FALSE with regard to pyuria in children:
1. Presence of more than 5 WBC/hpf for girls and more than 3 WBC/hpf for boys
2. Infection can occur without pyuria
3. Pyuria maybe present without UTI
4. Isolated pyuria is neither confirmatory nor diagnostic for urinary tract infection

Correct answer: 1. Presence of more than 5 WBC/hpf for girls and more than 3 WBC/hpf for boys

Explanation: a. Presence of more than 5WBC/hpf for girls and more than 3WBC/hpf for boys(Ref: Nelson's 20/e p 2557)High Yield Points:Pyuria suggests infection, but infection can occur in the absence of pyuria; Conversely, pyuria can be present without UTI;Sterile pyuria (positive leukocytes, negative cultures) occurs in partially treated bacterial UTI, viral infections, renal tuberculosis, renal abscess, interstitial nephritis, inflammation near ureter or bladderIn an uncentrifuged urine specimen >5WBCs/hpf is abnormal and is called pyuria.